All of the following disorders are characterized by subcorneal blister formation except:
1. Pemphigus Folaceous
2. Bullous impetigo
3. SSSS
4. Pemphigus Vulgaris

Correct answer: 4. Pemphigus Vulgaris

Explanation: Pemphigus vulgaris is characterized by suprabasal blister